Population covered by a PHC in hilly region is ?
1. 20,000
2. 30,000
3. 40
4. 25,00

Correct answer: 1. 20,000

Explanation: Ans. is 'a' i.e., 20,000 o One PliC for every 30,000 rural population in the plains. o One PHC for every 20,000 population in hilly, tribal and backward areas.